In meiosis chromosome number is
1. Doubled
2. Halved
3. Reduced to one fourth
4. Will not alter

Correct answer: 2. Halved

Explanation: .Ans b: (Ref: NCERT text book)